Disease, does not recur in the kidney after renal transplant is -
1. Alport syndrome
2. SLE with renal involvement
3. Good Pasteur's syndrome
4. Diabetic nephropathy

Correct answer: 1. Alport syndrome